Duodenal aspirate is used in diagnosis of
1. E histolytica
2. Giardia lamblia
3. Taenia solium
4. Leishmania

Correct answer: 2. Giardia lamblia

Explanation: Duodenal aspirate is used for G lambia, o sinesis, F heptica, and S stercoralis. ref : baveja book of microbiology .